Choroidal effusion syndrome is associated with all except
1. Myopia
2. Nanophthalmos
3. Structural defects in the sclera
4. Ciliochoroidal detachment

Correct answer: 1. Myopia

Explanation: Choroidal effusion syndrome (ciliochoroidal effusion) It is characterized by: - Thick sclera (main feature), ciliochoroidal detachment ( abnormal accumulation of serous fluid in outer layer of ciliary body and choroid). - Absence of inflammation and neoplastic disease. - Eyes may be nanophthalmic or hypermetropic. - Leopards spots, i.e mottling of pigment epithelium. Ref:- Parsons diseases of eye; pg num:-254